Expansile lytic osseous metastases are characteristics of primary malignancy of -
1. Kidney
2. Bronchus
3. Breast
4. Prostate

Correct answer: 1. Kidney

Explanation: Renal (kidney) carcinoma       →       Osteolytic bone metastasis.
Breast and lung (bronchus)     →       Mixed osteolytic - Osteoblastic
Prostate carcinoma                →       Osteoblastic metastasis